Which of the following is NOT true for Cystic fibrosis:
1. Abnormal sweat gland function
2. Ultimately lead to bronchogenic carcinoma
3. Exocrine pancreatic insufficiency
4. Intestinal dysfunction

Correct answer: 2. Ultimately lead to bronchogenic carcinoma

Explanation: Ans. B i.e. Ultimately lead to bronchogenic carcinomaCystic fibrosis:Autosomal recessive,Results due to mutation in a gene on chromosome 7,Predisposes to chronic infection by staph. aureus and pseudomonas,Cavitation is oftenly seen with staphylococcal infections